7 year old child presents with poor wound healing, Perifollicular hemorrhages and sharp and painful swellings at the costochondral junction of ribs. Which of the following treatments are recommended
1. Leafy vegetables in the diet
2. Animal products containing liver in the diet
3. Avoidance of eggs from diet
4. Oranges and amla in the diet

Correct answer: 4. Oranges and amla in the diet

Explanation: The clinical presentation points towards scurvy and it can be treated by supplementing the diet with citrus fruits which are rich source of vitamin C.